In atherosclerosis, increased LDL in monocyte macrophage due to:
1. LDL receptors on macrophage
2. LDL receptors on endothelium
3. Lipids in LDL get oxidized
4. All of the above

Correct answer: 3. Lipids in LDL get oxidized

Explanation: Ans. (c) Lipids in LDL get oxidized(Ref: Robbins 9th/pg 496; 8th/pg 500)With chronic hyperlipidemia, lipoproteins accumulate within the intima, there they aggregate and become oxidized by free radicals produced by inflammatory cells.